Which of the following presents with macronodular cirrhosis
1. Primary biliary cirrhosis
2. Indian childhood cirrhosis
3. Hemochromatosis
4. Wilson's disease

Correct answer: 4. Wilson's disease

Explanation: Wilson's disease presents with macronodular cirrhosis.
(Nodules size > 3 mm is diameter)
Option a,b,c presents with micronodular cirrhosis.